Beta oxidation of fatty acids occur in?
1. Nucleus
2. Mitochondria
3. Cytoplasm
4. Peroxisomes

Correct answer: 2. Mitochondria

Explanation: Ans. (b) MitochondriaRef Lippincott's 4/e, /194, Harper's Biochemistry 28, chapter 22